Causes of non-healing of enterocutaneous fistula are all except
1. Epithelialization of track
2. Track length >3 cm
3. Acute inflammatory disease
4. Radiation enteritis

Correct answer: 2. Track length >3 cm

Explanation: • Enterocutaneous fistulas are most commonly iatrogenic, usually the result of a surgical misadventure.
Surgical misadventure leading to Enterocutaneous fistula :
• Anastomotic leakage.
• Injury of the bowel or blood supply.
• Laceration of the bowel by wire mesh or retention suture.